Which type of cells are most numerous in gingiva
1. Melanocytes
2. Keratinocytes
3. Giant cells
4. Polymorphonuclear leukocytes

Correct answer: 2. Keratinocytes